Early closure of sagittal suture leads to
1. Scaphocephaly
2. Oxycephaly
3. Trigonocephaly
4. Plagiocephaly

Correct answer: 1. Scaphocephaly

Explanation: Scaphalophegaly : Early closure of saggital suture. In this compensatory skull grows parallel to the affected suture in order to accommodate the growing brain Ref Ghai pediatrics eighth edition pg no 41